Howell jolly bodies are seen in?
1. Iron deficiency anemia
2. Hemolytic anemia
3. Polycythemia vera
4. Multiple myeloma

Correct answer: 2. Hemolytic anemia

Explanation: Ans. is 'b' i.e. Hemolytic anemia Howell-Jolly bodies (HJ bodies)* These are round solid staining, dark-blue to purple inclusions. They are nuclear remanants predominatly composed of DNA.* The presence of Howel-Jolly bodies is associated with hemolytic anemia, megaloblastic anemia, hereditary spherocytosis, myelodysplastic syndrome, post splenectomy and after physiological atrophy of spleen.* Although HJ bodies are seen in all these conditions, they are most common after splenectomy.